All the following are branches of lateral cord of brachial plexus except
1. Lateral pectoral nerve
2. Thoracodorsal nerve
3. Musculocutaneous nerve
4. Lateral root of median nerve

Correct answer: 2. Thoracodorsal nerve

Explanation: Branches of lateral cord:1. Lateral pectoral nerve (C5, 6, 7) - Pectoralis major muscle2. Musculocutaneous nerve (C5, 6, 7) - Coracobrachialis, biceps brachii, brachialis muscles? supplies skin along the lateral border of the forearm when it becomes the lateral cutaneous nerve of forearm3. Lateral root of the median nerve (C5, 6, 7) Ref: Chaurasia; Volume 1; 6th edition; Page no: 56